The advantages of using a metal denture base are:
1. Increased rigidity with Less bulk
2. Reduction of bulk in the palate
3. Better stimulation of the underlying tissue
4. All of the above

Correct answer: 4. All of the above